A Pt. is presented with a metallic foreign body in the eye. Which investigation should not be done:
1. USG
2. X-ray
3. CT
4. MRI

Correct answer: 4. MRI